A twenty year old female patient comes to the clinic with discoloration of the upper right central incisor. This tooth was intact and otherwise asymptomatic.

The treatment most often employed for managing discoloration in a non-vital teeth is
1. Microabrasion
2. Walking bleach
3. Over the counter bleaching
4. Veneer

Correct answer: 2. Walking bleach